Origin of sympathetic fibers ?
1. Cranial
2. Sacral
3. Dorsolumbar
4. None

Correct answer: 3. Dorsolumbar

Explanation: Ans. is 'c' i.e., Dorsolumbar